What virus is noted for such a high incidence of antigenic drift that more than one antigenic variant can be isolated from infected individuals?
1. Adenovirus
2. Herpesvirus
3. HIV
4. Influenza Virus

Correct answer: 3. HIV

Explanation: HIV is famously known for its antigenic drift b/c HIV is poor at proofreading and hence more than one antigenic types can be isolated from a patient at the same time.Influenza is also known for its antigenic drift, but this antigenic change occurs over a period of 2-3 yrs.